19 year old young girl with previous history of repeated pain over medial canthus and chronic use of nasal decongestants, presented with abrupt onset of fever with chills & rigor, diplopia on lateral gaze,moderate proptosis & chemosis. On examination optic disc is congested. Most likely diagnosis is
1. Cavernous sinus thrombosis
2. Orbital cellulitis
3. Acute Ethmoidal sinusitis
4. Orbital apex syndrome

Correct answer: 1. Cavernous sinus thrombosis

Explanation: It Starts initially as a unilateral condition which soon becomes bilateral due to intercavernous connection. It should be differentiated from orbital cellulitis and panophthalmitis. Ref: ak khurana 6th edition pg no412